Structure forming right border of heart – a) SVCb) IVCc) Rt. atriumd) Lt. atrium appendagee) Pulmonary vessels
1. ab
2. abc
3. acd
4. bcd

Correct answer: 2. abc

Explanation: Right margin of heart is formed by SVC, right atrium, and IVC from above downward.